Which of the following complications has been associated with the adverse effects of rotavirus vaccine?
1. Guillain-Barr syndrome
2. Hemolytic anemia
3. Febrile seizures
4. Intussusception

Correct answer: 4. Intussusception

Explanation: The rotavirus vaccine was rapidly removed from the market (a few months after the CDC had recommended its use) because of reports of intussusception ocurring in infants within three weeks of vaccination. Ref : online source